Withdrawal reflexes are not
1. initiated by nociceptive stimuli.
2. prepotent.
3. prolonged if the stimulus is strong.
4. accompanied by the same response on both sides of the body.

Correct answer: 4. accompanied by the same response on both sides of the body.

Explanation: Only the part affected shows this response